False about Klumpke's paralysis?
1. Involves lower trunk of brachial plexus
2. Due to undue abduction of shoulder
3. Can cause Horner's syndrome
4. Biceps brachii is paralysed

Correct answer: 4. Biceps brachii is paralysed

Explanation: In Klumpke's paralysis, injury to lower trunk of brachial plexus due to undue abduction of shoulder.It can cause Horner's syndrome,Biceps is not paralysed.